Frieberg’s disease involve
1. Tibial tuberosity
2. Calcaneal tuberosity
3. 2nd metatarsal
4. 5th metarasal

Correct answer: 3. 2nd metatarsal

Explanation: A condition characterized by infarction and fracture of the metatarsal head.
Most often seen in 2nd metatarsal (MT) head, particularly the dorsal aspect4th and 5th MT rarely affected